Mizuo - phenomenon is seen in –
1. Fundus albipathicus
2. Fundus flavimaculatus
3. Oguchi's disease
4. Choroideremia

Correct answer: 3. Oguchi's disease

Explanation: Fundus changes of Oguchi's disease becomes normal after prolonged dark adaptation. This is called Mizuo-Nakamura phenomenon.